The following are true regarding primary gastric lymphoma except:
1. B symptoms are very rare.
2. H. pylori is implicated especially in MALT type
3. Mostly of B cell origin
4. Clinically can be easily differentiated from gastric adenocarcinoma by the presence of early satiety and prominent lymph node metastases.

Correct answer: 4. Clinically can be easily differentiated from gastric adenocarcinoma by the presence of early satiety and prominent lymph node metastases.

Explanation: GASTRIC LYMPHOMA Stomach is MC site for lymphoma in the GIT MC gastric lymphoma is diffuse large B-cell lymphoma (55%) >extranodal marginal cell lymphoma (MALT) (40%) > Burkitts lymphoma (3%) > mantle cell and follicular lymphomas. Clinical Features: Vague symptoms, namely epigastric painQ, early satiety, and fatigue. B symptoms are very rare. Diagnosis: Endoscopy: Nonspecific gastritis or gastric ulcerations, with mass lesions being unusual.